Drug of choice for early east African trypanosomiasis :
1. Pentamidine
2. Suramine
3. Melarsoprol
4. Nifurtimox

Correct answer: 2. Suramine

Explanation: Early east African trypanosomiasis : Suramine
Late east African trypanosomiasis : Melarsoprol
American trypanosomiasis : Benznidazole